Maximum magnitude of lymphocytosis is seen with-
1. Pulmonary Koch's
2. Typhoid
3. Bacterial pneumonia
4. Infectious mononucleosis

Correct answer: 4. Infectious mononucleosis